The following is a pro-apoptic factor
1. Bax
2. Bcl-2
3. Bcl-xL
4. Mci-1

Correct answer: 1. Bax

Explanation: Ans. (a) Bax (Ref: Robbins 9th/pg 55; 8th/pg 28)Proapoptotic: Apafl, cytochrome c, Bak, Bax, Bim, AIF, P53, Caspases, CD95 (FAS), TNF R1 and Smac/DiabloAntiapoptotic: Bcl2,BclxL ,Bclx ,FLIP,McL-1,IAP